Fellypressin is a
1. Vaso dilator
2. Vaso constrictor
3. Neuroleptic drug
4. Anti coagulant

Correct answer: 2. Vaso constrictor